Complications of paranasal sinusitis include all except?
1. Orbital cellulitis
2. Seizure
3. Nasal furuncles
4. Cavernous sinus thrombosis

Correct answer: 3. Nasal furuncles

Explanation: Ans. is'c'i.e., Nasal furunclesComplications of sinusitisComplications in properly managed sinusitis are uncommon.Local:- Mucocele / mucopyocele, mucous retention cyst, osteomyelitis.Orbital :-Periorbital cellulitis, orbital cellulitis, orbital abscess, subperiosteal abscess, cavernous sinus thrombosis, superior orbital fissure syndrome, orbital apex syndrome, edema of eye lids, retrobulbar neuritis with impaired vision.Intracranial :-Intracranial abscess (Epidural, subdural, parenchymal), meningitis, seizures, sepsis, focal neurological deficit.Descending infections:-Pharyngitis, laryngitis, tonsillitis, tracheobronchitis, otitis media.Systemic :-Toxic shock syndrome (very rare)Osteomyelitis:More common in frontal sinusitis.Osteomyelitis of the frontal bone can cause subperiosteal abscess known as Poft Puft Tumor.Orbital cellulitis is particularly common in ethmoid sinusitis.Cavernous sinus thrombosis and intracranial complications are more common with sphenoid sinusitis.